Nobel prize in 2006 (recently) was given for the discovery of
1. Lipoxins
2. RNAi
3. mt DNA
4. β-transcription factor

Correct answer: 2. RNAi

Explanation: If an investigator introduces into an organism a duplex RNA molecule corresponding in sequence to virtually any mRNA, Dicer nuclease cleaves the duplex into short segments, called small interfering RNAs (siRNAs). These short (21-25 nucleotide long) si RNAs usually form perfect RNA-RNA hybrid with their targets potentially anywhere within the length of mRNA where the complementary sequence exists. Formation of such RNA-RNA duplexes between si RNAs and mRNA results in reduced specific protein production because the si RNA - mRNA complexes are degraded, mostly in specific cytoplasmic organelles termed P-bodies. The process is known as RNA interference (RNAi) for which Nobel prize was given to Andrew Fire & Craig Mello in 2006.